ART drug which is entry inhibitor -
1. Enfuvirtide
2. Abacavir
3. Efavirez
4. Amprenavir

Correct answer: 1. Enfuvirtide

Explanation: Ans. is 'a' i.e., Enfuvirtide Antiviral drugs1. Anti-herpes virus - Idoxuridine, Acyclovir, Valacyclovir, Famciclovir, Ganciclovir, Foscamet, Trifluridine, Vidarabine.2. Anti-RetrovirusNucleoside reverse transcriptase inhibitors (NRTIs) - Zidovudine. Didanosine, Zalcitabine, Stavudine, Lamivudine, Abacavir.Nonnucleoside reverse transcriptase inhibitors - Nevirapine, Efavirenz, Delavirdine.Protease inhibitors - Ritonavir, Indinavir, Nelfinavir, Saquinavir. Amprenavir. Lopinavir.Fusion inhibitors (entry inhibitor) - Enfuvirtide3. Anti-influenza virus - Amantadine, Rimantadine, Oseltamivir, Zanamivir.4. Nonselective - Ribavirin, Adefovir, Dipivoxil, Interferon a.